A 43-year-old man complains of abdominal pain just above his umbilicus. On examination, a tumor is found anterior to the IVC. Which of the following structures would most likely be compressed by this tumor?
1. Right sympathetic trunk
2. Left third lumbar artery
3. Third part of the duodenum
4. Left renal artery

Correct answer: 3. Third part of the duodenum

Explanation: The third part of the duodenum (transverse portion) crosses anterior to the IVC. The other structures do not cross the IVC anteriorly.